Fetal blood loss occurs in :
1. Uterine rupture
2. Placenta previa
3. Vasa previa
4. Circumvallate

Correct answer: 3. Vasa previa

Explanation: Vasa previa